2 year old child with ALL, which of the following has the best prognosis?
1. Age between 1-10 years
2. TLC>1 lac
3. Petechiae
4. t(9:22)

Correct answer: 1. Age between 1-10 years

Explanation: Ans. (a) Age between 1-10 yearsRef: Harrison 19th ed. 1699-700Prognostic factor in acute lymphoblastic leukemiaExcellent prognosis* t(12;21) and TEL-AML1 fusion* Hyperdiploidy and trisomy of specific chromosomes (4,10 and 17) is associated with an excellent prognosis.* Age > 1 years and < 10 yearsDismal prognosis* t(9;22) or Philadelphia chromosome and BCR- ABL fusion* Hypodiploidy with chromosome number <45 is associated with a poor prognosis* Age > 10 years* WBC> 50,000/cu.mm3* CNS leukemia at presentation